Renal biopsy in a patient of microscopic polyangiitis (MPA) will yield which of the following findings?
1. Subepithelial humps on electron microscopy
2. Deposits showing apple-green birefringence on polarized light
3. Pauci-immune crescentic glomerulonephritis
4. Normal renal histology

Correct answer: 3. Pauci-immune crescentic glomerulonephritis

Explanation: Option A: Feature seen in MGN Option B: Feature seen in Amyloidosis Option C: Pauci-immune crescentic glomerulonephritis